Uterus is supported in the pelvis by all of the following except ?
1. Uterosacral ligament
2. Broad Ligament
3. Mackenrodts ligament
4. Levator ani

Correct answer: 2. Broad Ligament

Explanation: Broad ligaments are structures which are thought to play a minor role in supporting the uterus. Broad ligaments attach the uterus to the pelvic wall on each side but provide less or no support.